An oxidase-positive, gram-negative rod which produces a bluish-green pigment has been grown in culture from a swab obtained from an infected burn wound. This organism is susceptible to gentamicin, ticarcillin and tobramicin, but resistant to all the other antibiotics. Which of the following organisms is it likely to be?
1. Escherichia coli
2. Klebsiella pneumoniae
3. Proteus mirabilis
4. Pseudomonas aeruginosa

Correct answer: 4. Pseudomonas aeruginosa

Explanation: P. aeruginosa can cause a variety of skin infections, such as infections of burn wound, chronic paronychia, infected toe web, pseudomonal folliculitis, and pseudomonal cellulitis.
Infection of burn wounds is the most common recognized condition caused by P. aeruginosa. Pseudomonal wound infection is characterized by the presence of dark brown eschar associated with edema and hemorrhagic necrosis.
Pseudomonas are susceptible to cefotaxime, ceftazidime, gentamicin, tobramycin, carbenicillin, azlocillin, and ticarcillin.
Ciprofloxacin is most frequently used antibiotic, because it is active against P. aeruginosa in most tissues. Pseudomonas infections are treated best with combination of at least two anti-pseudomonal antibiotics.

Parija SC. Textbook of Microbiology & Immunology. Elsevier Health Sciences; 2014. Page: 316-17